Most common cause of bacterial peritonitis is
1. Primary or spontaneous
2. Perforated viscus
3. Foreign body
4. Biliary peritonitis

Correct answer: 2. Perforated viscus

Explanation: Peritonitis secondary to any bowel or other visceral pathology eg. perforation, appendicitis is termed as secondary peritonitis, E-Coli is the commonest organism causing this. Primary peritonitis - there is no documented infection, it's monomicrobial, extraperitoneal postoperative leak after surgery for gallbladder, CBD, ERCP, duodenum, pyloroplasty Reference: SRB 5th edition page no.566,573